A 10 year old malnourished boy presents with a nodular elevation on the Limbus which is congested, and stains positive with fluorescein. Tentative diagnosis?
1. Pterygium
2. Pinguecula
3. Phlycten
4. Nodular episcleritis

Correct answer: 3. Phlycten

Explanation: Phlycten- phlyctenular keratoconjunctivitis is an allergic response of conjunctiva and cornea . Tuberculous proteins were considered, previously, as the most common cause. Staphylococcus proteins are now thought to account for most of the cases. It is characterized by the presence of a typical pinkish white nodule surrounded by hyperaemia on the bulbar conjunctiva, usually near the limbus A pterygium frequently follows a pinguecula is often bilateral, present on the nasal side. Vision becomes impaired due to induced astigmatism or progression into the pupillary area of the cornea. Nodular episcleritis m/c in females presents with a red eye Attacks usually clear without treatment